Which of the following is not a swelling in midline:
1. Thyroglossal cyst.
2. Sublingual dermoid.
3. Branchial cyst.
4. Submental lymph nodes enlargement.

Correct answer: 3. Branchial cyst.

Explanation: The common swellings in the midline are:

Submental lymph nodes
Thyroid gland enlargement
Thyroglossal cyst
Sublingual dermoid
Lipoma

Common lateral swellings in the neck are:

Lymph node swelling
Salivary gland enlargement
Thyroid enlargement
Branchial cyst
Lipoma